Implosion therapy is implemented when according to Frankel's rating, the child is:
1. Positive.
2. Definitely positive.
3. Negative.
4. Definitely Negative.

Correct answer: 4. Definitely Negative.